Autoimmune destruction of platelets is seen in
1. SLE
2. PAN
3. RA
4. Sarcoidosis

Correct answer: 1. SLE

Explanation: Immune Thrombocytopenic PurpuraImmune thrombocytopenic purpura (ITP; also termed idiopathic thrombocytopenic purpura) is an acquired disorder in which there is an immune-mediated destruction of platelets and possibly inhibition of platelet release from the megakaryocyte. In children, it is usually an acute disease, most commonly following an infection, and with a self-limited course. In adults, it is a more chronic disease, although, in some adults, spontaneous remission occurs, usually within months of diagnosis.ITP is termed secondary if it is associated with an underlying disorder; autoimmune disorders, particularly systemic lupus erythematosus (SLE), and infections, such as HIV and hepatitis C, are common causesReference: Harrison's Principles of Internal Medicine; 19th edition; Chapter 140; Disorders of Hemostasis